Johne's bacillus is:
1. Corynebacterium pseudotuberculosis
2. M. Paratuberculosis
3. H. Acgipticus
4. Micrococcus

Correct answer: 2. M. Paratuberculosis

Explanation: M. Paratuberculosis